Most common cause of colonic obstruction is -
1. Volvulus
2. Hernia
3. Adhesions
4. Neoplasm

Correct answer: 4. Neoplasm